In disaster management all are true except
1. Mitigation before a disaster strikes
2. Response in pre-disaster phase
3. Yellow colour is for medium priority
4. Gastroenteritis is commonest infection after disaster

Correct answer: 2. Response in pre-disaster phase

Explanation: STAGES OF DISASTER CYCLE: Disaster mitigation: Measures designed to either prevent hazards from causing emergency or to lessen the effects of emergency Disaster preparedness Disaster impact Disaster response: Search rescue and first aid, field care, Triage, Tagging, Identification of dead Stage of health and medical relief: Disaster containment Rehabilitation: Water supply, Sanitation and personal hygiene, Food safety, Vector control Ref: Park 25th edition Pgno: 833